Arginine enters TCA Cycle by forming which substrate
1. Fumarate
2. α Ketoglutarate
3. Oxaloacetabe
4. Succinyl CoA

Correct answer: 2. α Ketoglutarate